Which among the following is NOT a feature of Consolidation?
1. Increased Vocal fremitus
2. Dull note on percussion
3. Bronchial breath sounds
4. Trachea shifted to side of consolidation

Correct answer: 4. Trachea shifted to side of consolidation

Explanation: ANSWER: (D) Trachea shifted to side of consolidationREF: Oxford Handbook of Clinical Examination and Practical Skills by James Thomas, TanyaMonaghan Page 212"Trachea is in midline in consolidation because consolidation does not change the mediastinalposition"SIGNS OF CONSOLIDATION:Increased vocal fremitusDullness on percussionBronchial breath soundsTrachea in midline